Oral glucose tolerance test in children is done with?
1. 1.5 gm/kg glucose
2. 1.75 gm/kg glucose
3. 2 gm/kg glucose
4. 2.5 gm/kg glucose

Correct answer: 2. 1.75 gm/kg glucose

Explanation: Ans. is 'b' i.e., 1.75 gm/kg glucose Oral glucose tolerance test o Doses are i) Adult --> 75 mg ii) Child --> 1.75 gm/kg of ideal weight, up to a maximum of 75 gm. Normal (mg/di) Diabetic (mg/dl) Fasting 70-105 126 60 min 120-170 200 90 min 100-140 200 120 min 70 -120 200